Williams 'syndrome is an autosomal dominant disorder characterized by all of the following features, except:
1. Hypercalcemia
2. Intellectual disability
3. Subvalvular aortic stenosis
4. Elfin facies

Correct answer: 3. Subvalvular aortic stenosis

Explanation: Ans. C. Subvalvular aortic stenosisWilliam's syndrome or Idiopathic hypercalcemia of infancy is an autosomal dominant disorder characterized by multiple congenital developmental defects, including supravalvular aortic stenosis, intellectual disability, and an elfin facies, in association with hypercalcemia due to abnormal sensitivity to vitamin D.